A person knows the truth & willfully concealed the truth & gives false evidence in the court of law. He will be punished under which IPC -
1. 190
2. 192
3. 193
4. 194

Correct answer: 3. 193

Explanation: Perjury is dealt with in 193 IPC. Wilful giving of false evidence by a witness while under oath. He can be imprisoned for 7 years. Perjury can be asked leading questions by same side lawyer. HOSTILE WITNESS: Is a person who is supposed to have some interest or motive for concealing part of the truth, or for giving completely false evidence. REF: Dr. K. S. Narayan Reddys Synopsis of Forensic Medicine & Toxicology 27th edition pg. 7.